Forward bending is seen in which posture in tetanus
1. Opisthotonus
2. Orthotonus
3. Emprosthotonus
4. Pleurothotonus

Correct answer: 3. Emprosthotonus

Explanation: Different Postures in Tetanus :

Opisthotonus : Posterior muscles are acting more, so backward bending.
Orthotonus : Straight posture. Both front and back muscles are acting equally.
Emprosthotonus : Forward bending as front muscles are acting more.
Pleurothotonus : Lateral bending as lateral muscle act more.